Ganglion of tendons is an example of-
1. Neoplastic process
2. Malformation
3. Amyloid deposition
4. Myxomatous degeneration

Correct answer: 4. Myxomatous degeneration

Explanation: Ans. is 'd' i.e., Myxomatous degeneration Ganglion oRT A ganglion is a small cyst located near a joint capsule or tendon sheath. A common location is around the joints of the wrist where it appears as a firm, fluctuant, pea sized, translucent nodule. It arises as a result of cystic or myxoid degeneration of connective tissue; hence the cyst wall lacks a true cell lining. The fluid in the cyst is similar to synovial fluid; However, there is no communication with the joint space.